A 60 gram of egg contains -
1. 70 Kcal energy
2. 6 mg of calcium
3. 30 gm protein
4. 10 mg of iron

Correct answer: 1. 70 Kcal energy

Explanation: Ans. is 'a' i.e., 70 Kcal energy Eggo Egg contains all nutrients except carbohydrate and vitamin C.o Egg proteins have all essential amino acids needed by the body in right proportions - Egg protein is the standard against which the quality of other proteins are comparedo NPU of egg is 100.o Egg contains very high amount of cholesterolo An egg weighing 60 grams contains :i) 6 gm of proteinii) 6 gm of fatiii) 30 mg of calciumiv) 105 mg of ironv) 70 Kcal. of energy